A boy 10-year-old, fractured his central incisor 1 ½ year
back. His pulp test is negative. What is the treatment:
1. Debridernent of pulp space and apexification
2. RCT
3. Debridement and pulpotomy
4. Observe, no treatment

Correct answer: 1. Debridernent of pulp space and apexification